Which of the following drugs is antipseudomonal penicillin?
1. Cephalexin
2. Dicloxacillin
3. Piperacillin
4. Cloxacillin

Correct answer: 3. Piperacillin